Which of the following is used for determining time since death by algor mortis?
1. Madea's formula
2. Calorimetry formula
3. Nysten's rule
4. Henssge nomogram

Correct answer: 4. Henssge nomogram

Explanation: Time since death from algor mortis is from nomogram method devised by Henssge. This method is based on experimental data, which can be carried out by a simple computer program or by a nomogram. Adjustments are built in for the body weight, ambient temperature and body temperature. It provides a 95% accuracy of estimating the TSD(time since death) during the first 15 h (with an error of +-2.8 h).